Which of the following is NOT a grass-root level worker?
1. Anganwadi worker
2. Traditional birth attendant
3. Village health guide
4. Health administrator

Correct answer: 4. Health administrator

Explanation: GRASS ROOT LEVEL WORKERS Anganwadi worker: Works at village level Traditional birth attendant: Works at village level Village health guide: Works at village level ASHA: Works at village level Multipurpose worker: Works at sub-centre (5 villages) level.